Benifits of breast milk are – a)  Better nutritionb)  Less infectionc)  More diarrhead)  Less allergye) High sodium contents
1. acd
2. bcd
3. abc
4. abd

Correct answer: 4. abd